Threonine, while metabolism is converted to which amino acid:
1. Proline
2. Alanine
3. Glycine
4. None of the above

Correct answer: 3. Glycine

Explanation: Threonine aldolase cleaves threonine to acetaldehyde and glycine. Ref: Harper 28th edition, chapter 29.